H2S inhibits which complex of ETC -
1. I
2. II
3. III
4. IV

Correct answer: 4. IV

Explanation: Ans. is 'd' i.e., IV Inhibitors of Electron transport chain (Respiratory chain)o Complex I :- Barbiturates (amobarbital), piercidin A, rotenone, chlorpromazine, guanithidine.o Complex II:- Carboxin, TTFA, malonate.o Complex III :- Dimercaproi. BAL, actinomycin A, Naphthyloquinone.o Complex IV :- (cytochrome c oxidase) Carbon monoxide (CO), cyanide (CN-). HJS, azide (N3-)